When two different chemical set on two different receptors and their response is opposite to each other on the same cell,this is called as
1. Physiological antagonism
2. Chemical antagonism
3. Reversible antagonism
4. Competitive antagonism

Correct answer: 1. Physiological antagonism

Explanation: Ref-KDT 6/e p56 Physiological agonism describes the action of a substance which ultimately produces the same effects in the body as another substance--as if they were both agonists at the same receptor--without actually binding to the same receptor